False about H. influenzae:
1. It needs X and V factor for growth
2. Protein capsule plays an important role in pathogenecity
3. It is a rare cause of meningitis in the first 2 months of life
4. Most common invasive manifestation is meningitis

Correct answer: 2. Protein capsule plays an important role in pathogenecity

Explanation: Ans. (b) Protein capsule plays an important role in pathogenecity Capsule is made up of polysaccharide (not protein) Antigenic determinants of Hemophilus Capsular polysaccharide Outer membrane proteins Lipooligsaccharide Major determinant Basis of classification (types a to f) Type b capsular polysachharide contain pentose sugar (ribose) other types have hexose sugar OMP and LOS subtyping is of epidemiological value